CA-125 is a marker antigen for the screening of the following malignancy:
1. Prostate cancer
2. Breast cancer
3. Brain cancer
4. Ovarian cancer

Correct answer: 4. Ovarian cancer

Explanation: CA125 is a glycoprotein that is not produced by normal ovarian epithelium, but may be produced by both benign and malignant ovarian tumors. Most commonly, cancer antigen 125 (CA125) level measurements and/or transvaginal sonography have been used for screening of ovarian tumors in suspected individuals. Ref: Hoffman B.L., Schorge J.O., Schaffer J.I., Halvorson L.M., Bradshaw K.D., Cunningham F.G., Calver L.E. (2012). Chapter 35. Epithelial Ovarian Cancer. In B.L. Hoffman, J.O. Schorge, J.I. Schaffer, L.M. Halvorson, K.D. Bradshaw, F.G. Cunningham, L.E. Calver (Eds), Williams Gynecology, 2e.